Intussusception usually begins from
1. Jejunum
2. Colon
3. Terminal ileum
4. Rectum

Correct answer: 3. Terminal ileum